M C organ ruptured in blunt trauma abdomen -
1. Caecum
2. Smelt intestine
3. Spleen
4. Liver

Correct answer: 3. Spleen

Explanation: Ans, is 'c' i.e., Spleen "The spleen is the intra-abdominal organ most frequently injured in blunt trauma."Blunt trauma : In blunt trauma the organs most commonly injured are the solid organs:Spleen (MC)LiverKidneyo In addition to spleen, liver and kidney, extreme blunt force to the upper abdomen may fracture the Pancreas, which is susceptible to injury because of its position overlaying the rigid vertebral column.Also knowo Deceleration injuries Commonly result from high speed motor vehicle accident and fall from considerable heights.The mechanism of injury is the shearing ofpedicled organs from their points ofattachments to the retroperitoneum.Pedicled organs in the abdomen are the intestines (Small and large) and the Kidney.